Scrub typhus is trasmitted by -
1. Mite
2. Louse
3. Tick
4. Flea

Correct answer: 1. Mite

Explanation: Description: Vector Diseases transmitted Soft tick Relapsing fever, Q fever, KFD (outside India) Hard tick Tularemia, Babesiosis, KFD (India), Tick paralysis, Tick encephalitis, Indian tick typhus, Tick hemorrhagic fever, Rocky Mountain spotted fever. Epidemic Typhus - Louse - R. prowazaki Endemic typhus - Flea - R. typhi Shrub typhus - trombiculid mite - O. tsutsugamushi Indian Tick Typhus - Tick - R. conori REF: PARK'S TEXTBOOK OF PREVENTIVE AND SOCIAL MEDICINE, 25TH EDITION, PG NO. 841